MOST common side effect of mycophenolate mophetil is:
1. Marrow suppression
2. Nephrotoxicity
3. Diarrhea
4. Glucose intolerance

Correct answer: 3. Diarrhea

Explanation: Gastrointestinal side effects (diarrhea/cramps) are common with mycophenolate mophetil. Immunosupressive drugs and their common side effects. Glucocorticoids: Hypertension, glucose intolerance, dyslipidemia, osteoporosis Cyclosporine: Nephrotoxicity, hypertension, dyslipidemia, glucose intolerance, hirsutism/hyperplasia of gums Tacrolimus: Similar to Cyclosporine, but hirsutism/hyperplasia of gums unusual, and diabetes more likely. Azathioprine: Marrow suppression Mycophenolate mofetil (MMF): Diarrhea/cramps; dose-related liver and marrow suppression is uncommon Sirolimus: Hyperlipidemia, thrombocytopenia Ref: Harrisons principles of internal medicine, 18th edition, Page: 1369.